Lymph nodes not involved in Ca endometrium is:
1. Para-aortic
2. Presaral
3. Inferior mesenteric
4. Inguinal

Correct answer: 3. Inferior mesenteric

Explanation: Lymphatic drainage of uterus: Lymph nodes Involved in ca endometrium.... BDC Vol II, 3th ed p 319

Upper lymphatics (from fundus)
From cornua
Middle lymphatics (from body)
Lower lymphatics (from cervix)
Para aortic
Superficial Inguinal nodes.
External iliac nodes.
External iliac node, Internal iliac nodes.

Besides these other regional lymph node involved in CA endometrium are:

Parametrial LN
Presacral LN
Pelvic LN
Obturator.